All are causes of Antepartum hemorrhage (APH) except
1. Placenta previa
2. Abruptio placenta
3. Circumvallate placenta
4. Battledore placenta

Correct answer: 4. Battledore placenta

Explanation: Causes of APH placenta praevia abruptio placenta local causes like polyp,cancer cervix ,varicose veins and local trauma circumvallate placenta vasa praevia unclassified or indeterminate haemorrhage (refer pgno:128 sheila textbook of obstetrics 2 nd edition)